Lutein cysts are associated with all except:
1. Gestational trophoblastic tumours
2. Clomiphene administration
3. Bilaterality
4. Use of OCP's

Correct answer: 4. Use of OCP's

Explanation: - lutein cyst of ovary are of two types: granulosa lutein found within corpus luteum. theca lutein cyst associated with trophoblastic disease and chorionic gonadotrophin therapy. - theca lutein cyst are usually bilateral and filled with straw coloured fluid. - it is often associated with hydatidiform moles, choriocarcinoma and gonadotrophin or Clomiphene therapy. Reference : Shaw's textbook of gynaecology, 16th edition, pg no: 430